Rosenthal fibres arr seen in which of the following tumors
1. Pilocytic astrocytoma
2. Glioblastoma
3. Medulloblastoma
4. Ependymoma

Correct answer: 1. Pilocytic astrocytoma

Explanation: Refer Robbins page no 1309